Condition which does not cause metabolic acidosis?
1. Renal failure
2. Ureterosigmoidostomy
3. Pancreatic or biliary fistula
4. Pyloric stenosis

Correct answer: 4. Pyloric stenosis

Explanation: Ans. is 'd' i.e., Pyloric stenosis